Preanaesthetic medication comprises of all the following, except:
1. Diazepam
2. Atropine
3. Metoclopramide
4. Lignocaine

Correct answer: 4. Lignocaine

Explanation: Preanaesthetic medication refers to the use of drugs before anesthesia to make it more pleasant and safe. Diazepam produces tranquility and smoothens induction. It also produces anterograde amnesia with little respiratory depression.
Anticholinergic agents, i.e. atropine reduce salivary and bronchial secretions, hence prevents laryngospasm precipitated by respiratory secretions. They also prevent bradycardia due to their vagolytic action. Metoclopramide, an antiemetic, reduces the incidence of postoperative vomiting. Lignocaine is a local anesthetic that has no preanaesthetic value.